In family welfare programme, score of 1 is given to-
1. Birth rate
2. Net reproduction rate
3. Achievement of goal
4. Total implementation of programme

Correct answer: 2. Net reproduction rate

Explanation: NRR of 1 is equivalent to attaining approx. the 2 child norm